Molybdenum is a constituent of:
1. Xanthine oxidase
2. Cytochrome oxidase
3. Phosphofructokinase
4. Carbonic anhydrase

Correct answer: 1. Xanthine oxidase

Explanation: Molybdenum containing enzymes include aldehyde oxidase, sulfite oxidase and xanthine oxidase.